Kleptomania is a/ an:
1. Impulse
2. Compulsion
3. Obsession
4. None

Correct answer: 1. Impulse

Explanation: A ref: Ahuja, 4lh/e p. 111 and 5th/e p. 124,125